Well circumscribed, flat lesions that are inflammed or pigmented is known as:
1. Papule.
2. Macule.
3. Bullae.
4. Pustule.

Correct answer: 2. Macule.